Criteria used for diagnosing Cervical pregnancy is
1. Studiford
2. Spigelberg
3. Wrigly
4. Rubin

Correct answer: 4. Rubin

Explanation: Cervical ectopic pregnancyReference: Te Linde's Operative Gynecology, 10th Edition